Appendicitis like syndrome is caused by:
1. Y.pseudotuberculosis
2. Pasteurella multocida
3. Bacillus cereus
4. Y.pestis

Correct answer: 1. Y.pseudotuberculosis

Explanation: Yersinia pseudotuberculosis causes mesentric adenitis leading to Pseudoappendicitis.